Ectopic tissue in stomach is of the origin of
1. Spleen
2. Pancreas
3. Liver
4. Kidney

Correct answer: 2. Pancreas

Explanation: Pancreatic tissue outside boundaries of the pancreas without anatomic or vascular connections to the pancreas, Also called ectopic pancreas. Ectopic pancreas can be found in submucosa of stomach, duodenum or small intestine, gallbladder, spleen Reference Bailey and love's edition 24 page no .1120